Herbert's pits are seen in
1. Trachoma
2. Spring catarrh
3. Phlyctenular conjunctivitis
4. Sarcoidosis

Correct answer: 1. Trachoma

Explanation: (Refer: AK Khurana Comprehensive Ophthalmology, 6th edition, pg no. 67 - 71)Signs of TrachomaConjunctival signs:- Congestion, conjunctival follicles (boiled sagograin like), Papillary hyperplasia, conjunctival scarring (Arlt's line), concretionCorneal signs: superficial keratitis, Herbert follicles, Pannus, corneal ulcer, Herbert pits, Corneal opacity